Storage temperature of platelet is -
1. -4degC
2. + 4 deg C
3. -20degC
4. + 20-24deg C

Correct answer: 4. + 20-24deg C

Explanation: Ans. is 'd' +20-24 degress Celsius o Platelets are stored at room temperatures because cold induces clustering of Von Willebrand factor receptors on the platelet surface. All cells are more metabolically active at room temperatures so platelets are stored in bags that allow oxygen and carbon dioxide gas exchange. Citrate is added to prevent clotting and dextrose is added as energy source.